All causes brain lesions except
1. Giardiasis
2. Tuberculosis
3. Cysticercosis
4. Bacteriodes

Correct answer: 1. Giardiasis

Explanation: giardiasis is caused by Giardia lamblia. the parasite attaches itself to the epithelial surface of duodenum and jejunum and causes disturbance of intestinal function leading to malabsorption of fat. Patient presented with loose stool and mild steatorrhoea. .Baveja textbook of parasitology 3rd edition.